Guineaworm disease was a common public health problem which was attributed to the use of:-
1. Dug well
2. Sanitary well
3. Artesian well
4. Step well

Correct answer: 4. Step well

Explanation: Guineaworm disease is quite a public health problem in areas where step wells are in use STEP WELLS are a kind of pucca wells which are becoming obsolete, fortunately. In these wells, there is considerable personal contact between the user and the water. Some people may even wash their faces, hands and feet which is a common Indian custom. The open dug wells and step wells are a health hazard to the community.